Antileprotic drug also used in lepra reaction is –
1. Rifampicin
2. Dapsone
3. Ciprofloxacin
4. Clofazimine

Correct answer: 4. Clofazimine

Explanation: Clofazimine (an antileprotic drug) is used for type II lepra reaction (ENL).